The earliest sign of syncope is
1. Pallor
2. Constriction of pupil
3. Dilation of pupil
4. Bradycardia

Correct answer: 1. Pallor